Moro's reflex disappears by what age:
1. 2 weeks
2. 4 weeks
3. 3-6 months
4. 12-18 months

Correct answer: 3. 3-6 months

Explanation: Ans C. 3-6 monthsMoro reflex is best elicited by the sudden dropping of the baby's head in relation to the trunk; the response consists of opening of the hands and extension and abduction of the upper extremities followed by anterior flexion of upper extremities with an audible cry.